Which of the following could develop with a mucosal neuroma on the lower lip, family history of medullary thyroid carcinoma, and recent introduction of severe headaches, perspiration, palpitations, and hypertension?
1. Gastrinoma
2. Insulinoma
3. Parathyroid adenoma
4. Pheochromocytoma

Correct answer: 4. Pheochromocytoma

Explanation: This describes multiple endocrine neoplasia, specifically, MEN III (formerly MEN II b). Features of this autosomal dominant condition include medullary carcinoma of the thyroid, pheochromocytoma, and oral and intestinal ganglio-neuromatosis (including mucosal neuromas). Pheochromocytomas typically cause attacks of severe headache, perspiration, palpitations, hypertension, anxiety, and tremor. 

Gastrinomas (choice A) and insulinomas (choice B) are found in MEN I.
Parathyroid adenomas (choice C) are found in MEN I and II.
Pituitary adenomas (choice E) are found in MEN I.